Which of the following causes of Anemia is associated with a Hypoplastic marrow:
1. Fanconi's Anemia
2. Paroxysmal Nocturnal Hemoglobinuria (PNH)
3. Hypersplenism
4. Myelofibrosis

Correct answer: 1. Fanconi's Anemia

Explanation: Answer is A (Fanconi's Anemia) Constitutional Aplastic Anemias like Fanconi's Anemia are associated with a Thpoplastic Marrow Myelofibrosis, Paroxysmal Nocturnal Hemoglobinuria (PNH) and Hypersplenism are all associated with a cellular marrow.